Pseudo-isomorphic phenomenon is seen in ?
1. Psoriasis
2. Lichen planus
3. Vitiligo
4. Molluscum contagiosum

Correct answer: 4. Molluscum contagiosum

Explanation: Ans. is 'd' i.e., Molluscum contagiosum